Most important component of level of living is:
1. Health
2. Education
3. Occupation
4. Housing

Correct answer: 1. Health

Explanation: Ans: aRef: Park, 17th ed, p. 20 & 18th ed, p. 21